Which of the following infestation leads to malabsorption?
1. Giardia lamblia
2. Ascaris lumbricoides
3. Necater Americana
4. Ancylostoma duodenale

Correct answer: 1. Giardia lamblia

Explanation: Ans. (a)(Ref: Parasitology-Protozoology and Helminthology by K.D. Chatterjee, 13th edition)Giardia lamblia is a cosmopolitan parasite, more prevalent in children than adults and more common in warm than in cool climates. It inhabits the deudenum and upper part of the jejunum. The presence of G. lamblia in the glandular crypts of duodenal-jejunal mucosa may not cause any pathology. These flagellates do not invade the tissues, but feed on mucous secretions. With the sucking disc it attaches to the surface of the epithelial cells. Patient may compiain of dull epigastric pain, flatulence and chronic diarrhea of steatorrhoea type. The stool is voluminous, foul smelling and contains large amount of mucus and fat but no blood. This is due to malabsorption since the parasites are coated on the mucosa, thus absorption suffers. Patient loses weight due to the malabsorption.